Osteoporosis is seen in
1. Tumer's syndrome
2. Klinefelter's syndrome
3. Cushing's syndrome due to steroids
4. All of the above

Correct answer: 4. All of the above